One of the patients in paediatric ICU has developed VF and the staff have started CPR. You are the physician on call. You want to try DC shock so as to revert to it to normal rhythm. What is the energy you would use in this scenario? The child is 3 years old, weight - 15 kg, SPO2 - 88, BP unrecordable, RR - 40/minute.
1. 60 J
2. 280 J
3. 250 J
4. 320 J

Correct answer: 1. 60 J

Explanation: In this case a single shock of 4 J/kg can be given. This should be immediately followed by CPR - 15:2 for 2 minutes. During CPR make sure you correct the reversible causes of arrhythmia like hypoxia, hypovolemia, metabolic disturbance etc. Ref: Oxford Handbook of Clinical Specialities, 8th Edition, Page 239